A vitamin related to a co-factor in glycine metabolism is
1. Thiamine
2. Biotin
3. Folic acid
4. Pantothenic acid

Correct answer: 3. Folic acid

Explanation: Reference: Harpers illustrated biochemistry 30th edition